Annulo spiral ending present on
1. Nuclear chain fibers
2. Nuclear bag fibers
3. Both
4. None

Correct answer: 3. Both